Factor IX is also called as:
1. Stuart power factor
2. Christmas factor
3. Prothrombin
4. Fibrin factor

Correct answer: 2. Christmas factor